Anticancer drugs having highest emetogenic potential -
1. Cisplatin
2. Vincristine
3. Mthotrexate
4. Busulfan

Correct answer: 1. Cisplatin

Explanation: Ans. is 'a' i.e., Cisplatin